Patient had loss of temporal field of vision in right eye and nasal field of vision in the left eye. The possible site of lesion is
1. Optic chiasma
2. Left optic tract
3. Right optic radiation
4. Left optic nerve

Correct answer: 2. Left optic tract